Antidepressant causing Tardive dyskinesia is ?
1. MAO inhibitors
2. Mianserin
3. Imipramine
4. Amoxapine

Correct answer: 4. Amoxapine

Explanation: Ans. is 'd' i.e., Amoxapine Amoxapine is the only antidepressant which blocks D2 receptors along with inhibition of NA reuptake - has mixed antidepressant + neurolepic property. Due to blockade of D, receptors it causes extrapyramidal side effects -4 Parkinsonism, Tardive dyskinesia, Akathesia, neuropeptic malignant syndrome.